Calorific value of protein is
1. 9.3 kcal/g as measured by bomb calorimeter.
2. 5.3 kcal/g as measured by bomb calorimeter
3. 9.3 kcal/g as measured by combustometer
4. 5.3 kcal/g as measured by combustometer

Correct answer: 2. 5.3 kcal/g as measured by bomb calorimeter

Explanation: Combustometer is a wrong terminology given to confuse the aspirants.
A bomb calorimeter device is used to measure energy released by combustion of foodstuffs outside the body. It uses Direct Calorimetry to measure the calorific value.
Calorific value of various substances as measured in a bomb calorimeter are
Carbohydrate 4.1 kcal/g
Fat 9.3 kcal/g
Protein is 5.3 kcal/g
Note: if measured inside the body carbohydrate and Fat have same as above values but protein has 4.1 kcal/g